Nabothian cysts are
1. Remnant of Wolffian duct in females
2. Mucus retention cysts of cervix
3. Infected gartners duct cyst
4. Due to HPV infection of cervix

Correct answer: 2. Mucus retention cysts of cervix

Explanation: Nobothian cysts are retention cysts of endocervical columnar cells occurring where a cleft has been covered by squamous metaplasia.